Which of the following is not seen in 3rd degree burns:
1. loss of skin appendages
2. no vesicles
3. red colour
4. Extremely painful

Correct answer: 4. Extremely painful

Explanation: Ans. D: Extremely painful Depth of burn injury (deeper burns are more severe) Superficial burns (first-degree and superficial second-degree burns) First-degree burns Damage above basal layer of epidermis Dry, red, painful ("sunburn") Second-degree burns Damage into dermis Skin adnexa (hair follicles, oil glands, etc.) remain Heal by re-epithelialization from skin adnexa The deeper the second-degree burn, the slower the healing (fewer adnexa for re-epithelialization) Moist, red, blanching, blisters, extremely painful Superficial burns heal by re-epithelialization and usually do not scar if healed early. Deep burns (deep second-degree to fourth-degree burns) Deep second-degree burns (deep partial-thickness) Damage to deeper dermis Less moist, less blanching, less pain Heal by scar deposition, contraction and limited re-epithelialization Third-degree burns (full-thickness) Entire thickness of skin destroyed (into fat) Any color (white, black, red, brown), dry, less painful (dermal plexus of nerves destroyed) Heal by contraction and scar deposition (no epithelium left in middle of wound) Fourth-degree burns Burn into muscle, tendon, bone Need specialized care (grafts will not work) Deep burns usually need skin grafts to optimize results and lead to hypertrophic (raised) scars if not grafted